Hyperprolactinemia is a side effect of
1. Bromocriptine
2. Levodopa
3. Amantadine
4. Metoclopramide

Correct answer: 4. Metoclopramide